A pregnant lady was admitted with diagnosis of PIH for monitoring and bed rest. In supine position which of the following is a complication of the below representation?
1. Abdominal aorta syndrome
2. Supine vena cava syndrome
3. Ascending aorta syndrome
4. Superior vena cava syndrome

Correct answer: 2. Supine vena cava syndrome

Explanation: Ans. B Supine vena cava syndromeRef: William Obstetrics pg. 1369The image shows the developing baby compressing the IVC of the mother. This will lead to reduced venous return and development of dizziness and hypotension in the mother. This is called supine hypotension syndrome or supine vena cava syndrome.